A buffer that is most effective at a pH of about 4.5 is:
1. Acetate buffer
2. Bicarbonate buffer
3. Phosphate buffer
4. Tris buffer

Correct answer: 1. Acetate buffer

Explanation: A buffer system becomes more effective when the pH of the system equals its pKa. Acetate buffer has a pKa value of 4.76 which nearly equals that of the system. So the buffer that is most effective at a pH of 4.5 is acetate buffer.